Which of the following steps involved in formation of CSF?
1. Ultrafiltration and active secretion
2. Passive secretion
3. Active secretion and passive filtration
4. None

Correct answer: 1. Ultrafiltration and active secretion

Explanation: Ultrafiltration through fenestrated capillary walls Active secretion of ions and solutes Ref gk pal pg no 1157